All are true about nasolabial cysts except:
1. They are B/L
2. They present in adults
3. Derived from odontogenic epithelium
4. Strong female predilection

Correct answer: 3. Derived from odontogenic epithelium

Explanation: Nasolabial Cysts/Nasoalveolar Cyst/Klestadt's Cyst It is a rare non odontogenic cyst which occurs in the region of nasolabial seen fold. It may arise from epithelial entrapment in the line of fusion between medial and lateral nasal process during the development of nose and cheek (hence also called epithelial inclusion cyst) or may arise as epithelial remnants of nasolacrimal duct. Female >Male Bilateral in approximately 10% of all cases. Usually present in 4th and 5th decades of life. It presents as a smooth and soft bulge in the region of nasolabial fold. Large cyst obliterates the nasolabial sulcus. Treatment is by surgical excision using sublabial approach. Globulomaxillary cyst arise at the junction of the primitive palate and palatine process in the alveolaolar process between lateral incisor and canine teeth.